A neonate is suspected to be suffering from necrotizing entercolitis (NEC). On fuhur examination and investigation, he is diagnosed to be Bell's stage INEC. The management of choice would be
1. Laporotomy and proceed
2. Insertion of bilateral pelvic drains
3. Conservative management with IV fluids and antibiotics
4. Initial conservative management and laparotomy after 24 hours

Correct answer: 3. Conservative management with IV fluids and antibiotics

Explanation: .Abdomen radiographs may show pneumatosis intestinalis,or free intraperitoneal air. management consists of agressive resuscitation and intravenous feeding.The optimal time for surgery is not in the acute phase as the baby can withstand the pressure of necrosis better than an adult,but not in the stress laprotomy. BAILEY AND LOVE'S SHORT PRACTICE OF SURGERY,PG NO:1200, 24th edition